Amsler grid is used in
1. Detecting maculopathy
2. Optic disc examination
3. Squint
4. Retinal examination

Correct answer: 1. Detecting maculopathy